Fine needle aspiration cytology is not suitable for diagnosing
1. Tubercular lymphadenitis
2. Papillary carcinoma thyroid
3. Plasmacytoma
4. Aneurymal bone cyst

Correct answer: 4. Aneurymal bone cyst

Explanation: Aneurysmal bone cyst, abbreviated ABC, is an osteolytic bone neoplasm characterized by several sponge-like blood or serum filled, generally non-endothelialized spaces of various diameters. On a radiograph, well-defined, expansile, lytic lesion is observed. Expansion of cortex gives the lesion a balloon-like appearance. Larger lesions may appear septated The afflicted may have relatively small amounts of pain that will quickly increase in severity over a time period of 6-12 weeks. The skin temperature around the bone may increase, a bony swelling may be evident, and movement may be restricted in adjacent joints. Spinal lesions may cause quadriplegia and patients with skull lesions may have headaches. Commonly affected sites are metaphyses of vertebra, flat bones, femur and tibia. Approximate percentages by sites are as shown: Skull and mandible (4%) Spine (16%) Clavicle and ribs (5%) Upper extremity (21%) Pelvis and sacrum (12%) Femur (13%) Lower leg (24%) Foot (3%) Ref: Internet sources (Wiki)